BCG is a?
1. Immunomodulator
2. Live attenuated vaccine
3. Killed vaccine
4. Toxiod vaccine

Correct answer: 2. Live attenuated vaccine

Explanation: ANSWER: (B) Live attenuated vaccineREF: APPENDIX-46 below TYPES OF VACCINE & IMMUNIZATIONRepeat Community medicine 2012 Session 1, 2008, Pediatrics June 2009 APPENDIX - 46Types of VaccineTypeContentExamplesKilled vaccineskilled, but previously virulent, microorganisms that have been destroyed with chemicals or heat.Avian Flu vaccine; developed by Reverse Genetics techniques. Reverse genetics' is an approach to discovering the function of a gene by analyzing the phenotypic effects of specific gene sequences obtained by DNA sequencing. This investigative process proceeds in the opposite direction of so- called forward genetic screens of classical genetics. Simply put, while forward genetics seeks to find the genetic basis of a phenotype or trait, reverse genetics seeks to find what phenotypes arise as a result of particular genes.